Exposure of a female fetus to androgen in early embryogenesis may arrest differentiation of :
1. Mullerian
2. Ovary
3. Urogential sinus
4. Mesonephric ducts

Correct answer: 3. Urogential sinus

Explanation: Shortly after the tip of para mesonephric ducts reach the urogenital sinus two solid evaginations grow out from the pelvic part of the sinus.From these evaginations the sinovaginal bulbs proliferates to form the vaginal plates. The androgen exposure may arrest the differentiation of urogenital sinus LANGMAN'S MEDICAL EMBRYOLOGY, Pg no:229,12th edition